All of the following features are true about cross sectional study except -
1. All cases are seen at one point in time
2. Follow up is not a necessary feature
3. More useful for chronic disease
4. Cause and effect relationship can be estabilished

Correct answer: 4. Cause and effect relationship can be estabilished

Explanation: Ans. is 'd' i.e., Cause and effect relationship can be established o In descriptive epidemiology it is mandatory to have a clear picture of the amount of disease (disease load) in the population. o Morbidity data can be obtained by following two studies - i) Cross - sectional studies ---> Prevalence ii) Longitudinal studies --> Incidence Cross - sectional studies o Cross sectional study is the simplest form of an observational study. o It is also known as prevalence study. o It is based on a single examination of a cross - section of population at one point of time. o Results of this examination can be projected on the whole population. o Cross-sectional study tells about the distribution of a disease rather than its etiology. o Cross-sectional studies can be thought of as providing a snapshot of the frequency and characteristic of a disease in a population at a particular point in time. o Cross-sectional study is more useful for chronic disease. o As population is studied at once, no follow-up is required.